Community acquired pneumonia in person rearing sheep ?
1. Coxeilla brunetti
2. Histoplasma capsulatum
3. Streptococcus Pneumonae
4. Bacillus anthracis

Correct answer: 1. Coxeilla brunetti

Explanation: Ans. is 'a' i.e., Coxeilla brunetti C. burnetti is found in ticks, which transmit the agent to sheep, goats and cattle.Workers in Slaughterhouses and in plants that process wool and cattle hides have contracted the disease (Q fever) as a result of handling infected animal tissue.C. burnetti causes Q-fever which presents as interstitial pneumonia.